Long acting insulin is?
1. Insulin glargine
2. Insulin Lispro
3. Insulin aspart
4. Insulin glulisine

Correct answer: 1. Insulin glargine

Explanation: ANSWER: (A) Insulin glargineREF: Pharmacology ReCap 2.0 for Bachelor of Dentistry Students by Dr. J. G. Buch page 304, Harrison s 18m ed chapter 344INSULINS:Highly purifiedmono-componentinsulinPorcine Actrapid- RegularShort actingPorcine Monotard- LenteIntermediate actingPorcine Insulatard- NPH Porcine Mixtard30% regular, 70% IsophaneHuman insulinHuman Actrapid- RegularShort actingHuman Monotard- LenteIntermediate actingHuman Insulatard- NPH Human Mixtard30% regular, 70% IsophaneInsulin analoguesInsulin Lispro Insulin aspart Insulin glulisineUltra short actingInsulin glargineLong acting